Obstruction of the hepatic vein by thrombosis or a web is
1. Schatzki's ring
2. Plummer Vinson Syndrome
3. Budd-Chiari syndrome
4. Caroli's disease

Correct answer: 3. Budd-Chiari syndrome

Explanation: Budd Chiari syndrome is a syndrome or group of disorders caused by occlusion of major hepatic veins or IVC or both at or near the level of the hepatic vein, usually three main major hepatic veins are involved by thrombosis or block. Reference: SRB 5th edition page no 626